Drug with both antidepressant and antipsychotic properties is:
1. Buspirone
2. Amoxapine
3. Trazodone
4. Minaserine

Correct answer: 2. Amoxapine